Nerve damaged during sentinel node biopsy of breast carcinoma is: (2014 Feb D. REPEAT)
1. Intercostobrachial nerve
2. Lateral pectoral nerve
3. Long thoracic nerve
4. Nerve to latissimus dorsi

Correct answer: 1. Intercostobrachial nerve

Explanation: Ans: A (Intercostobrachial nerve) Ref: Fischer JE et al, Master of Surgery, Lippincott. 2006. 5th edition, pg: 514 Explanation: "Complications of sentinel lymph node biopsy and axillary node sampling include hematoma formation, wound infection, seroma, lymphedema and damage to intercostobrachial nerve." Ref Fischer et al. Sentinel Lymph node biopsy The aim is to avoid complete axillary dissection in clinically node-negative breast ca patients. The sentinel lymph node is the first lymph nodes to drain the cancer. If sentinel lymph nodes are identified and removed before involvement, it can prevent the need for complete axillary lymph node dissection. Commonly used tracers to identify sentinel lymph nodes o Radioactive Tc99M labeled albumin or sulphur colloid, o Blue supravital dye (Patent blue V or isosulfan blue). indication: Clinically node negative Contraindications: o Pregnant or breast feeding o Severe allergies o DCIS o T3 tumors o Previous surgery-augmentation or reduction. Complication o Hematoma formation o Wound infection o Seroma o Lymphedema o Damage to intercostobrachial nerve.